Inferior epigastric vein drains into?
1. Femoral vein
2. External iliac vein
3. Internal iliac vein
4. Internal pudendal vein

Correct answer: 2. External iliac vein

Explanation: Ans. is 'b' i.e., External iliac veinInferior epigastric vein drains into External iliac vein.Superior epigastic vein drains into Internal thoracic vein.